Pituitary tumor most responsive to medical therapy is-
1. Growth hormone secreting tumor
2. ACTH secreting tumor
3. Prolactinoma
4. Thyrotropin secreting tumors

Correct answer: 3. Prolactinoma

Explanation: For prolactinoma dopamine agonist are the treatment of choice Ref - ( Harrison 17 pg 2204)